Yuzpe method is used in :
1. Post coital hormonal regime
2. Intrauterine contraceptive method
3. Post coital intrauterine contraceptive device
4. Tukal ligation

Correct answer: 1. Post coital hormonal regime

Explanation: Post coital hormonal regime